High frequency audiometry is used in
1. Otosclerosis
2. Ototoxicity
3. Non-organic hearing loss
4. Meniere's disease

Correct answer: 2. Ototoxicity

Explanation: In ototoxicity, there is high-frequency hearing loss. Note: Pure tone audiometry has only frequency of 125 to 8000 Hz. OTOTOXIC DRUGS: A. Aminoglycoside antibiotics * Streptomycin * Dihydrostreptomycin * Gentamicin * Tobramycin * Neomycin * Kanamycin * Amikacin * Netilmycin * Sisomycin B. Diuretics * Furosemide * Ethacrynic acid * Bumetanide C. Antimalarials * Quinine * Chloroquine * Hydroxychloroquine D. Cytotoxic drugs * Nitrogen mustard (Mechlorethamine) * Cisplatin * Carboplatin E. Analgesics * Salicylates * Indomethacin * Phenylbutazone * Ibuprofen F. Chemicals * Alcohol * Tobacco * Marijuana * Carbon monoxide poisoning G. Miscellaneous * Erythromycin * Ampicillin * Propranolol * Propylthiouracil * Deferoxamine Ref: Dhingra; 6th Edition; pg no 34